Enzyme alpha naphtyl esterase is present in ?
1. Neutrophil
2. Eosinophil
3. Lymphocyte
4. Monocyte

Correct answer: 4. Monocyte

Explanation: Ans. is d i.e., Monocyte